A 20-year-old primigravida at 12 weeks of gestation complains of spotting per vaginum. On examination uterine size corresponds to gestational age and cervical os appears closed. What is your diagnosis?
1. Inevitable abortion
2. Threatened abortion
3. Complete abortion
4. Incomplete abortion

Correct answer: 2. Threatened abortion

Explanation: The clinical diagnosis of threatened abortion is presumed when bloody vaginal discharge or bleeding appears through a closed cervical os during the first 20 weeks. Uterus corresponds to the gestational age. Transvaginal sonography is used to locate the pregnancy and determine if the fetus is alive.Reference: William's Obstetrics; 25th edition; Chapter 18; Abortion